In Tzank smear multinucleated cells are seen in:
1. Chicken pox
2. Psoriasis
3. Molluscum contagiosum
4. Pemphigus vulgaris

Correct answer: 1. Chicken pox

Explanation: A i.e. Chicken pox - In patients with vesico-bullous lesions and oral ulcer (mucosal involvement), the diagnosis is pemphigus vulgaris and the bed side diagnostic Tzank test from floor of bullae shows acantholysis with numerous acantholytic keratinocyte cellsQ. In Tzank smear diagnostic multinucleated giant cells with ballooning degeneration is seen in herpes simplex, herpes zoster and varicella zoster (chicken pox) virusQ.